Which of the follow ing is/are the application/s of FISH?
1. Gene mapping
2. Study of 3D chromosome organization in interphase nuclei
3. Monitoring the success of bone marrow transplantation
4. All the above

Correct answer: 4. All the above

Explanation: Ans. is 'd' i.e., All the above [Ref: align="center" style="font-family: Times New Roman, Times, serif">Examples of FISH applicationsDiagnosticResearchThe identification of specific chromosome abnormalitiesThe identification of new non-random abnormalities (by M-FISH or SKY)The characterization of marker chromosomesGene mappingInterphase FISH for specific abnormalities in cases of failed cytogeneticsIdentification of regions of amplification or deletion by CGHMonitoring disease progressionThe identification of translocation breakpointsMonitoring the success of bone marrow transplantationThe study of 3D chromosome organization in interphase nuclei